Pentad of pain, fever, jaundice, confusion and shock is seen in:
1. Pancreatitis
2. Hepatitis
3. Cholangitis
4. Appendicitis

Correct answer: 3. Cholangitis

Explanation: Ans. C: Cholangitis Features of cholangitis: Charcot's triad - right upper quadrant pain, fever, jaundice Reynolds' pentad - right upper quadrant pain, fever, jaundice, hypotension, and mental status changes (delirium, anxiety, and coma) Nausea and/or vomiting Right upper quadrant tenderness (mild to moderate)